In a case of Autosomal dominant polycystic kidney disease, cysts are present in all of the following organs, EXCEPT:
1. Lung
2. Liver
3. Pancreas
4. Seminal vesicles

Correct answer: 1. Lung

Explanation: ADPKD is characterized by the presence of bilateral, multiple renal cysts as well as a variety of extra renal manifestations, such as cyst in the liver, bile ducts, pancreatic ducts, seminal vesicles, arachnoid membrane. Non cystic manifestations associated with it includes intracranial aneurysms, dolichoectasia, aortic root dilation, aneurysm, mitral valve prolapse and abdominal wall hernia. Ref: Harrison's Internal Medicine, 18th Edition, Chapter 284 ; Genetic Diseases of The Kidney By Richard P. Lifton, Page 393 ; Hypertension Primer: The Essentials of High Blood Pressure By Joseph L. Izz, 3rd Edition, Page 370 ; Merritt's Neurology Handbook By Pietro Mazzon, 2nd Edition, Page 370 ; Primary Care Medicine: Office Evaluation and Management of The Adult Patient By Allan H. Gorol, 6th Edition, Page 925